True about hard tick-
1. Have four stages in life cycle
2. Female lays thousands of eggs
3. Larval stage is known as seed ticks
4. All of the above

Correct answer: 4. All of the above

Explanation: Ans. is 'd' i.e., All of the aboveo The majority of hard ticks require three different hosts to complete their development. During this development, ticks go through four stages of life. These stages are egg, larvae (or seed tick), nymph, and adulto Generally, adult female hard ticks breed while on the host animal and then drop to the ground to lay eggs. A female lays several thousand eggs at a time, which will eventually hatch into larval stage, known as seed ticks. At this stage of life, these small ticks (about 1/8-inch in size) have six legs.